In testicular feminisation syndrome:a) Buccal smear is chromatin positiveb) Normal breast size is observedc) Menstruation is scanty and infrequent d) Familial incidence is recognised
1. c
2. bd
3. ab
4. ac

Correct answer: 2. bd

Explanation: In testicular feminization syndrome:
Genotype = 46 XY
• Hence borr body is absent i.e. chromatin negative (i.e., option a is incorrect)
• It is inherited as X-linked recessive gene.
(i.e. option d is correct).
Rest all options you know.